Pastia's lines in scarlet fever are
1. White lines on the dorsum of the tongue
2. Seen bilaterally on buccal mucosa
3. Present in skin folds secondary to capillary fragility
4. Seen when white and red strawberry tongue occur concomitantly

Correct answer: 3. Present in skin folds secondary to capillary fragility